Positive Schick's test indicates that person is:
1. Immune to diphtheria
2. Hypersensitive to diptheria
3. Susceptible to diphtheria
4. Carrier of diptheria

Correct answer: 3. Susceptible to diphtheria

Explanation: Positive Schick's test indicates that person is Susceptible to diphtheria. Schick test: Toxin-antitoxin neutralization test. Done on the people before starting immunization to identify susceptible individuals. Susceptible individuals develop erythema and induration on test arm following intradermal inoculation (0.2ml I/D MLD) of toxin. Vaccine is administered only to those susceptible people. Since now safer toxoid preparations are available, it is obsolete.